The facial nerve supplies motor fibers to which of the following muscles?
1. Stapedius
2. Mylohyoid
3. Anterior belly of the digastric
4. Geniohyoid

Correct answer: 1. Stapedius

Explanation: The facial nerve innervates muscles that develop from the second branchial arch, which includes the stapedius. This muscle is important in dampening loud sounds and is located in the middle ear cavity.Ref: Color atlas and textbook of human anatomy, Volume 3, 5th Ed By Werner Kahle, Michael Frotscher